Which is not true about Fragile X syndrome
1. Large testis
2. Pigmented nevi
3. Large ear present
4. Long face

Correct answer: 2. Pigmented nevi

Explanation: Fragile X syndrome is associated with the loci Xq27.3 on the distal long arm of the X chromosome. In affected males, it is mainly characterized by intellectual disability, macroorchidism, autistic behaviour, facial features like long face, large ears, prominent square jaw Pigmented naevi are not seen associated with fragile X syndrome. Reference : Nelson paediatrics 19th edition pg 411